All of the following conditions can be diagnosed on distant direct ophthalmoscopy except:
1. Opacities in the refractive media
2. A hole in the iris
3. A detached retina
4. A hole in the macula

Correct answer: 4. A hole in the macula

Explanation: Ans. A hole in the macula